Most common nerve damaged in CSOM is(REPEAT QUESTION)
1. III
2. VII
3. II
4. VI

Correct answer: 2. VII

Explanation: Facial paralysis occurs as a complication of both acute and chronic otitis media. (Ref: Textbook of diseases of ENT, PL Dhingra, 7th edition, pg no. 88)